Most common arrhythmia:
1. Inappropriate sinus tachycardia
2. Junctional premature complexes
3. Atrial fibrillation
4. Atrial flutter

Correct answer: 3. Atrial fibrillation